Rapid Reduction of blood pressure is indicated in :
1. Acute Aortic Dissection
2. Hypertensive Encephalopathy
3. Intracercbral haemorrhage
4. All of the above

Correct answer: 4. All of the above

Explanation: Answer is D (All of the above) Acute Aortic Dissection, Hypertensive Encephalopathy and Intracerbral haemorrhage are all hypertensive emergenices that require rapid reduction of blood pressure Indications for rapid reduction of BP Rapid reduction of blood pressure is indicated in hypertensive emergencies and hypertensive urgencies(Braunwald) Hypertensive emergencies require very rapid reduction or immediate reduction in blood pressure preferably within minutes (within 1 hour) Hypertensive urgencies also require rapid reduction but, reduction required is not immediate and can be achieved more slowly over hours (or over days) Clinical Circumstances requiring rapid reduction of BP (Braunwald 8th/1045) (Hypertensive Emergencies and Hypertensive Urgencies) Accelerated-malignant hypertension with papilledema Cerebrovascular - Hypertensive encephalopathy - Atherothrombotic brain infarction with severe hypertension - lntracerebral hemorrhage - Subarachnoid hemorrhage Cardiac - Acute aortic dissection - Acute left ventricular failure - Acute or impending myocardial infarction - After coronary bypass surgery Renal - Acute glomerulonephritis - Renal cries from collagen-vascular diseases - Severe hypertension after kidney transplantation Excessive circulating catecholamines - Pheochromocytoma crisis - Food or drug interactions with monoaime oxidase inhibitors - Sympathomimetic drug use (cocaine) - Rebound hypertension after sudden cessation of antihypertensive drugs Eclampsia Surgical - Severe hypertension in patients requiring immediate surgery - Postoperative hypertension - Postoperative bleeding from vascular suture lines Severe body burns Severe epistaxis - Thrombotic thrombocytopenic purpura